Pregnant patient can be safely given
1. Tetracycline
2. Paracetamol
3. Metronidazole
4. Barbiturates

Correct answer: 2. Paracetamol